Not true about graft versus host reaction -
1. Lymphocytic infiltration of portal tract
2. Bile duct damage
3. Intrahepatic cholestasis
4. None

Correct answer: 4. None

Explanation: Reference :Robbins basic pathology 9th edition pg no 139 :Destruction of small bile ducts give rise to jaundice and intra hepatic cholestasis.